A 50-year-old woman presents with fatigue and shortness of breath. Physical examination shows evidence of pulmonary edema, enlargement of the left atrium, and calcification of the mitral valve. A CT scan demonstrates a large obstructing mass in the left atrium. Before open heart surgery can be performed to remove the tumor, the patient suffers a stroke and expires. Which of the following hemodynamic disorders best explains the pathogenesis of stroke in this patient?
1. Arterial embolism
2. Atherosclerosis
3. Cardiogenic shock
4. Hypertensive hemorrhage

Correct answer: 1. Arterial embolism

Explanation: Cardiac myxoma is the most common primary tumor of the heart. One third of patients with a left atrial or left ventricular myxoma die from tumor embolization to the brain. Less likely causes of stroke in this patient with a cardiac myxoma include atherosclerosis (choice B) and hypertensive hemorrhage (choice D).Diagnosis: Cardiac myxoma